IVF is mainly done for -
1. Uterine factor
2. Tubal blocks
3. Male partner has a count of 12 million/ml
4. None of the above

Correct answer: 2. Tubal blocks

Explanation: Ans. is 'b' i.e., Tubal blocks In vitro fertilization and embryo transfer (IVF-ET)Indicationsi) Tubal pathology/blocksii) Male factor: count less than 5 million/mLiii) > 6 IUI failuresBasic steps of IVF* Ovarian stimulation with gonadotropins and follicular monitoring* Oocyte retrieval (ovum pickup) done through TVS-guided needle* Fertilization: 50,000 sperms are put on each oocyte retrieved* Embryos kept in incubator for 48-72 h* ET done on day 2 or day 3 (48-72 h) after oocyte retrieval* Generally 2-4 embryos are transferred in the uterine cavity via catheter and deposited 1 cm below the fundus* Success rate of IVF per cycle is 30-35%